Cock-up splint is used in injuries of:
1. Ulnar nerve
2. Radial nerve
3. Axillary nerve
4. Common peroneal nerve

Correct answer: 2. Radial nerve

Explanation: Ans: B i.e. Radial nerve Nerve injury & splints Ulnar nerve palsy (lumbricals paralysis) is managed by knuckle bender splint Radial nerve palsy (extensors of wrist & metcarpophaingeal joint paralyzed) is managed by cock-up splint Axillary nerve injuries (deltoid paralysis) is managed by aeroplane splint Common peroneal nerve injury (extensors & evertors of the foot paralyzed) is managed by foot drop splint